ICDS scheme does not include -
1. Children in the age group of 0-6 years
2. Primary school children
3. Cow milk
4. Lactating women

Correct answer: 2. Primary school children

Explanation: The objective of ICDS Scheme is to improve nutritional and health status of children in the age group 0-6 years.REF.PARK'S TEXTBOOK OF PREVENTIVE AND SOCIAL MEDICINE.Editon-21.Page no.-544